All the following affects absorption of calcium, EXCEPT
1. Citric acid
2. Retinoic acid
3. Phytates
4. Oxalates

Correct answer: 2. Retinoic acid